True about lepra bacilli is -
1. INH inhibits their growth
2. Antileprosy vaccine can give life long protection
3. Mycobacterium leprae can be grown in foot pad of mice
4. Incubation period is 3-4 months

Correct answer: 3. Mycobacterium leprae can be grown in foot pad of mice